Which of the following seizures has a clinical presentation of short cry, loss of consciousness and generalized rigidity, rhythmic contractions and flaccidity?
1. Complex partial
2. Simple partial
3. status epilepticus
4. Generalized tonic clonic

Correct answer: 4. Generalized tonic clonic

Explanation: Generalized tonic-clonic seizures are convulsive and can be the result of partial seizures. It can occur without warning or with unusual sensory perceptions before losing consciousness. Such aura can indicate the focus (e.g., unpleasant smell, abdominal cramping). The tonic-clonic seizures can start abruptly or with urinary or stool incontinence. The typical paroxysmal rhythmic muscle jerks are more common in adults than children. After seizures, confusion and ataxia are followed by hours of sleep. This form of epilepsy was called grand mal in the past. A special type of generalized seizure syndromes is the Lennox-Gastaut syndrome, a generalized myoclonic disorder with concomitant absence and tonic-clonic activity and poor prognosis. Ref: Greenberg D.A., Aminoff M.J., Simon R.P. (2012). Chapter 12. Seizures & Syncope. In D.A. Greenberg, M.J. Aminoff, R.P. Simon (Eds), Clinical Neurology, 8e.